Which of the following statement is true ?
1. Paul Bunnell test is used to diagnose measles
2. Rose Waaler test is a complement fixation test
3. Indirect hemagglutination test is less sensitive than gel diffusion test
4. Antigen antibody reaction cannot occur in the absence of electrolytes

Correct answer: 4. Antigen antibody reaction cannot occur in the absence of electrolytes

Explanation: Ans. is 'd' i.e., Antigen Antibody reaction cannot occur in the absence of electrolytes